Serum gamma glutamyl transpeptidase maximum increased in
1. Alcoholism
2. Pancreatitis
3. Myocardial infarction
4. Hepatitis

Correct answer: 1. Alcoholism

Explanation: A. i.e. (Alcoholism) (107- U. Satyanarayan 3rd) (600- Rana -Shinde 7th)Important enzymes in the diagnosis of disease* SGPT / ALT- Liver disease (Hepatitis)* SGOT/AST- MI & Liver disease* LDH- MI, Infective hepatitis* CPK- Myocardial infarction* Aldolase- Muscular dystrophy* 5 - Nucleotidase- Hepatitis* Y- Glutamyl- transpeptidase (GGT)- Alcoholism* Y- GT is the most sensitive indicator in alcoholism* Useful test for MI in later stages* Increase serum activity seen with pancreatic disease* It is a valuable parameter in differentiating between skeletal (bone) and hepatic dysfunction associated withincreased serum ALP